All of the following are included in pathogenesis of edema except?
1. Decreased hydrostatic pressure of capillaries
2. Decreased plasma osmotic pressure of capillaries
3. lymphatic obstruction
4. Increased vascular permeability

Correct answer: 1. Decreased hydrostatic pressure of capillaries

Explanation: Answer- A. Decreased hydrostatic pressure of capillaries